Seen in B/L congenital hip dislocation is/are -a) Short stratureb) Wandering acetabulumc) Waddling gaitd) Lumbar lordosis
1. acd
2. ad
3. bc
4. bde

Correct answer: 1. acd

Explanation: In a bilateral dislocation the gait is described as 'duck like waddle' or 'sailor's gait and consists of an inclination to the side on which the weight is born (lurching gait on both side). In unilateral cases the child lurches towards affected side. This is known as abductor lurch or Trendelenburg gait.


Lordosis is particularly noticeable in bilateral cases & is often presenting complaint.


There short stature with both lower limbs appear too short for the body.
There is compensatory genu valgum. As both hips are adducted patient tries to keep the feet outside, which causes bilateral compensatory genu valgum.


Shenton's line is broken.